Intolerance to a drug occurs at what dose in an individual ?
1. Subtherapeutic dose
2. Therapeutic dose
3. Toxic dose
4. Not related to the dose of drug

Correct answer: 2. Therapeutic dose

Explanation: Ans. is'b'i.e., Therapeutic dose IntoleranceIt is the appearance of characteristic toxic effects of drug in an individual at therapeutic doses.Converse of tolerance and indicates a low threshold of the individual to the action of a drug.